A patient has hyperphosphatemia with short metacarpals and associated cataract. The diagnosis is -
1. Pseudohypoparathyroidism
2. Hypophosphatasia
3. Hyperparathyroidism
4. Osteomalacia

Correct answer: 1. Pseudohypoparathyroidism